Most common psychiatric illness
1. Depression
2. Bipolar
3. Mania
4. Cyclothymia

Correct answer: 1. Depression

Explanation: Mood disorders are common. In the most recent surveys, major depressive disorder has the highest lifetime prevalence (almost 17 percent) of any psychiatric disorder. Reference: Synopsis of Psychiatry, page 348.